All of the following are true about pancreatic injury except
1. Penetrating injuries are common
2. Commonly isolated injuries occur
3. Serum amylase is raised
4. Peritoneal lavage is not helpful for diagnosis

Correct answer: 2. Commonly isolated injuries occur

Explanation: Answer- B. Commonly isolated injuries occurIn blunt injuries which are usually the result of midline upper abdominal trauma (eg. car seat belt, cycle handle), junction of the neck and body of the pancreas are most commonly injured as they are pressed against the vertebral column.Major abdominal vascular injuries are present in more than 75% of cases of penetrating trauma.Pancreas b eing a retroperitoneal structure, peitoneal lavage is not helpful in making the diagnosis of pancreatic injury.CT xan is the best diagnostic procedure, apart from an exploratory laprotomy